A patient presented in the OPD with edema of foot and Hydrocele. Which of the following organism could be responsible for the condition?
1. W.Bancrofti
2. B.Malayi
3. B.Timori
4. Onchocerca volvulus

Correct answer: 1. W.Bancrofti

Explanation: Hydrocele is the a feature of bancroftian filariasis not brugian. W.Bancrofti affect the following organs Legs Breast Arms Vulva Scrotum Brugia rarely affects genitals Ref: Paniker's 6th Page 196-208